Delusion of persecution occurs in -
1. Schizophrenia
2. Paranoid psychosis
3. Manic episode
4. All of the above

Correct answer: 4. All of the above

Explanation: Delusions of presecution are seen in schizophrenia (especially paranoid), severe affective disorders (Severe mania, Severe depression), and organic brain syndrome.